In Webers syndrome true is
1. Lesion is in pons
2. Associated with 3rd nerve palsy
3. Hemiplegia on ipsilateral side of lesion
4. Immediate surgery is the treatment

Correct answer: 2. Associated with 3rd nerve palsy

Explanation: (B) Associated with 3rd nerve palsy # Injury to structures surrounding fascicles of the oculomotor nerve descending through the midbrain has given rise to a number of classic eponymic designations.> In Nothnagel's syndrome, injury to the superior cerebellar peduncle causes ipsilateral oculomotor palsy and contralateral cerebellar ataxia.> In Benedikt's syndrome, injury to the red nucleus results in ipsilateral oculomotor palsy and contralateral tremor, chorea, and athetosis.> Claude's syndrome incorporates features of both the aforementioned syndromes, by injury to both the red nucleus and the superior cerebellar peduncle.> Finally, in Weber's syndrome, injury to the cerebral peduncle causes ipsilateral oculomotor palsy with contralateral hemiparesis.